A patient presents with foreign body sensation in eye and swollen knee joint after a leisure trip. The most probable diagnosis is:
1. Sarcoidosis
2. Reiter's disease
3. Behcet's disease
4. SLE

Correct answer: 2. Reiter's disease

Explanation: Answer is B (Reiter's syndrome): Arthropathy following recent travel suggests a probable diagnosis of Reactive arthritis secondary to organisms endemic in the zone of travel. The association of conjunctivitis (foreign body sensation in the eye) with arthritis suggests diagnosis of Reiter's syndrome.